Frie test is done in
1. Donovanosis
2. LGV
3. Syphillis
4. Leprosy

Correct answer: 2. LGV

Explanation: B i.e. LGV